All of the following are true for anaemic retinopathy except
1. Occurs when haemoglobin level falls below 5 gm%
2. Arterioles become pale
3. Veins are pale and narrow
4. Superficial retinal and subhyaloid haemorrhage are seen

Correct answer: 3. Veins are pale and narrow

Explanation: Anaemic retinopathy In anaemia, retinal changes are liable to occur when haemoglobin level falls by 50 percent and are consistently present when it is below 35 percent (5 gm%). Anaemic retinopathy is characterised by pale arterioles and a pale general background of the fundus. Retinal veins are dilated. Superficial retinal and preretinal (subhyaloid) haemorrhages may be seen in posterior half of the fundus. A few haemorrhages have white centres (Roth spots). Rarely, a few soft exudates (cotton-wool patches) may also be present. Ref:- A K KHURANA; pg num:-264